The egg which of the following parasites consist of polar filaments arising from either end of the ambrophore-
1. Taenia saginata
2. Taenia solium
3. Echinococcus granulosus
4. Hymenolepis nana

Correct answer: 4. Hymenolepis nana